APGAR score - include A/E
1. Heart rate
2. Respiratory rate
3. Muscle tone
4. Color

Correct answer: 2. Respiratory rate

Explanation: Ans. is 'b' i.e., Respiratory rate